In which of the following conditions, NAA peak is seen on MRS?
1. Tuberculoma
2. Tumors
3. Canavan's disease
4. Meningioma

Correct answer: 3. Canavan's disease

Explanation: Canavan disease, also known as spongiform degeneration of white matter(not to be confused with Creutzfeldt-Jakob Disease) or aspaoacylase deficiency,is a leukodystrophy clinically characterized by megalencephaly, severe mental and neurological deficits, and blindness.